Which one of the following statements is false?
1. The presence of ingested RBC is seen only in E. histolytica
2. Young adult male of low socioeconomic status are most commonly affected by invasive amoebiasis
3. A low iron content in the diet predispose to invasive amoebiasis
4. The pathogenic and non-pathogenic strains of E. histolytica can be differentiated by the electrophoretic study of zymodemes

Correct answer: 3. A low iron content in the diet predispose to invasive amoebiasis

Explanation: Ans. is 'c' i.e., A low iron content in the diet predispose to invasive amoebiasisThere is no relation between iron content in diet and amoebiasis.